Linear deposition of the immunoglobulins
1. Lupus nephritis
2. Good Pasteur syndrome
3. Diabetic nephropathy
4. Renal vein Thrombosis

Correct answer: 2. Good Pasteur syndrome

Explanation: (Good-Pasteur syndrome): (485- Robbins-basic 7th edition)Linear pattern of immunoglobulin deposition (usually IgG, sometimes IgA or IgM) that is the hallmark diagnostic finding in renal biopsy in Good pasture syndromeLUPUS NEPHRITISClass I: Minimal lesionsDeposits within the mesangium which consist of IgG and C3Class II: Mesangial lupus nephritis* Increase in the number of mesangial cells and of the mesangial matrix* Granular mesangial deposits of IgG and C3 sometimes IgA and IgMClass III: Focal segmental LN* Haematoxylin bodies of gross may be present* Subendothelial and subepithelial deposits of IgG often with IgM or IgA and C3 are seenClass IV: Diffuse proliferative LN* Most severe and most common form of LN*** Diffuse proliferation of endothelial, masangial and sometimes epithelial cells involving most or all glomeruliClass V: Membranous LN* Resemble those of idiopathic membranous GN* Diffuse thickening of glomerular capillary wall on light microscopy and show sub endothelial deposits of immune complexes* Mesangial hypercellarity**Class VI: Sclerosing LN* End stage kidney of SLE akin to chronic GN* Most glomeruli are sclerosed and hyalinised